Erb's point is?
1. C4, C5
2. C5, C6
3. C6, C7
4. C7, C8, T1

Correct answer: 2. C5, C6

Explanation: Erb's point is is a site at the lateral root of the brachial plexus located 2-3 cm above the clavicle.Erb's point is formed by the union of the C5 and C6 nerve roots, which later converge. At the nerve trunk, branches of suprascapular nerves and the nerve to the subclavius also merge. The merged nerve divides into the anterior and posterior division of C5 and C6.